In emergency tracheostomy all of the following structures are damaged, EXCEPT?
1. Isthmus of the thyroid
2. Inferior thyroid artery
3. Thyroid ima artery
4. Inferior thyroid vein

Correct answer: 2. Inferior thyroid artery

Explanation: Bleeding can occur immediately after a tracheostomy and in the late postoperative period. Sources of hemorrhage include granulation tissue in the stoma or trachea, and erosion of thyroid vessels or the thyroid itself, the tracheal wall (frequently from suction trauma), or the innominate artery. Inferior thyroid artery, a branch of the thyrocervical trunk of the subclavian artery lies laterally away from midline, thus can escape injury.